H5N1 Avian Influenza has not become an epidemic till now. What is the most important reason for this?
1. Seen only in wild birds and not in domestic poultry
2. It has avian influenza genes
3. Human to Human transmission is rare
4. It causes serious illness leading to death of the patient

Correct answer: 3. Human to Human transmission is rare

Explanation: Avian influenza refers to a large group of different influenza virus that primarly affect birds. The vast majority of avian influenza viruses donot infect humans. However avian H5N1 is a strain with pandemic potential, since it might ultimately adapt in to a strain that is contagious among human.As this has not occured it cannot become an epidemic.Fortunately H5N1 virus doesn't jump from birds to humans of spread readily and sustainably among humans. Reference; Park's Textbook of preventive and social medicine, 24th edition.Pg no. 166